When comparing breast milk vs. cow's milk, which of the following is higher in Cow milk?
1. kcal/cc
2. Concentration of casein protein
3. Carbohydrate content
4. Fat content

Correct answer: 2. Concentration of casein protein

Explanation: Ans. B. Concentration of casein proteinThe kcal/cc are about the same. Both, cow and human milk contains approximately 2/3(0.66)kcal/cc(20kcal/oz).Whey: Casein of human milk is 70:30 as compared to a ratio of 18:82 for cow milk.The carbohydrate content is about the same.Lipids constitute approximately 50% of the calories in human milk (5.7g/100kcal) and standard infant formula (4.4-6.0g/100kcal).